The term anisometropia indicates:
1. Refractive error
2. Long vision
3. Short vision
4. Aging process

Correct answer: 1. Refractive error

Explanation: a) refractive error ref optha Nema 4th/e p.30, Khurana 3rd/e and 2nd /e p.62, parsons 19th/e p.88